Avascular necrosis is a complication of -
1. Fracture of talus
2. Fracture of medial condyle of femur
3. Olecranon fracture
4. Radial head fracture

Correct answer: 1. Fracture of talus